Traction epiphysis is are
1. Head of humerus
2. Lesser tubercle
3. Deltoid tuberosity
4. Ciracoid process

Correct answer: 2. Lesser tubercle

Explanation: Traction epiphysis are usually present at the end if bones and develop due to traction by the attached muscle (and are therefore extracapsular), eg Greater (and lesser) tubercle in humerus and greater ( and lesser) trochanter in femur Ref: Gray's39e/p185-210